All are obstructive lung disease except
1. Emphysema
2. Interstitial fibrosis
3. Asthma
4. Bronchitis

Correct answer: 2. Interstitial fibrosis